Delivery of the after - coming head in breech presentation following forceps/methods are used EXCEPT:
1. Wrigley's forceps
2. Kielland's forceps
3. Das's variety forceps
4. Mauriceau smellie, veit technique

Correct answer: 1. Wrigley's forceps

Explanation: (Wrigley's forceps) (384, 571-78-Dutta's 6th)* Common methods employed for delivery of the after coming head:* Bums - Marshall method* Forceps delivery (Das's, Kielland's)* Molar flexion and shoulder traction (Modified Mauriceau-Smellie-Veit-technique)* Pinard's maneuver - for frank breech extraction* Lovset's maneuver - for extended Arms* Wrigley's forceps - are used exclusively in outlet forceps operations* Commonest indication of mid forceps operation is following mannual rotation of the head in malrotated occipito-posterior position.